Gamma glutamate carboxypeptidase is linked with absorption of
1. Riboflavin
2. Niacin
3. Folic acid
4. Pyridoxine

Correct answer: 3. Folic acid

Explanation: Function in the brain GCPII directly cleaves NAAG into NAA and glutamate. NAAG has been shown, in high concentration, to indirectly inhibit the release of neutrotransmitters, such as GABA and glutamate. It does this through interaction with and activation of presynaptic group II mGluRs Ref: guyton and hall textbook of medical physiology 12 edition